Following are the causes of sudden loss of vision except ?
1. Angle closure glaucoma
2. Endophthalmitis
3. Central serous retinopathy
4. Corneal ulceration

Correct answer: 4. Corneal ulceration

Explanation: Ans. is 'd' i.e., Corneal ulceration